Vitamin–B6  deficiency is seen with the use of all of the following drugs except :
1. Cycloserine
2. Cyclosporine
3. INH
4. d–Penicillamine

Correct answer: 2. Cyclosporine